Hymen may remain intact inspite of sexual assault on a child, What could be the reason
1. Strong hymen in a child
2. Hymen develops after 10 years of birth
3. Hymen is deeply situated
4. All of the above

Correct answer: 3. Hymen is deeply situated

Explanation: In young child, hymen is at a deeper location, so it may not be ruptured even after rape.